Which of the following organism is the most common cause of Acute otitis media in children?
1. Staphylococcus aureus
2. Moraxella catarrhalis
3. Haemophilus Influenzae
4. Streptococcus pneumoniae

Correct answer: 4. Streptococcus pneumoniae

Explanation: Streptococcus pneumoniae is the most common organism causing acute otitis media. It accounts for roughly 30% of the cases. Other causative organisms includes Haemophilus influenzae (20%) Moraxella catarrhalis (12%), Streptococcus pyogenes and Staphylococcus aureus.